In stab wounds, langer's liner determine
1. Direction
2. Gaping
3. Shelving
4. Healing

Correct answer: 2. Gaping